True about 4thventricle is-
1. Rhomboid fossa forms floor
2. Choroid plexus lies at its floor
3. Connection between two cerebral hemispheres
4. Lies inferior to inferior cerebellar peduncle

Correct answer: 1. Rhomboid fossa forms floor

Explanation: A i.e., Rhomboid fossa forms the floor